Which of the following anaesthetic agent is contraindicated in Renal failure:
1. d-TubocurarineScoline
2. Scoline
3. Halothane
4. Gallamine

Correct answer: 4. Gallamine

Explanation: Gallamine